All the following are primary cutaneous diseases except:
1. Psoriasis
2. Reiter's disease
3. Lichen planus
4. Icthiosis/Bowen's disease

Correct answer: 2. Reiter's disease

Explanation: B i.e. Reiter's disease: Reiter's disease or syndrome is primarly a reactive polyahritisQ characterized by presence of non suppurative, painful, asymmetrical oligoarthritis with or without urethritis, ureitis, conjunctivitis, oral ulcers and secondary cutaneous involvement in form of rashQ. Psoriasis, Bowen's disease (squamous cell carcinoma in situ), lichen planus and icthyosis are primary cutaneous diseases.